The centre of rotation for bodily movement of tooth is located at:
1. Apical 1/3rd of root
2. At infinity
3. Apical 2/3rd of root
4. Middle 1/3rd of root

Correct answer: 2. At infinity

Explanation: Bodily Movement
This is the most desirable type of tooth movement. In bodily movement, crown and root move the same distance either lingually or labially.
Features of Bodily Movement:

Center of rotation is at infinity.
Force applied: 70–120 g.
Moment to force ratio: 10:1.
Loading pattern: Uniform stress pattern in the periodontal ligament.